True about V.S.D. is, all except -
1. Small hole closes spontaneously
2. Defect is usually in membranous part
3. Endocarditis is commonest complication
4. Pulmonary oligemia in chest X-ray

Correct answer: 4. Pulmonary oligemia in chest X-ray

Explanation: In chest radiography, the Westermark sign is a sign that represents a focus of oligemia (hypovolemia) (leading to collapse of vessel) seen distal to a pulmonary embolism (PE). ... Essentially, this is a plain X-ray version of a filling defect as seen on computed tomographypulmonary arteriogram.